Agent of first choice in an acute attack of Prinzmetal's angina is -
1. Diltiazem
2. Nitrates
3. Propranolol
4. Verapamile

Correct answer: 2. Nitrates

Explanation: Ans. is 'b' i.e., Nitrates Treatment of variant angina Drugs are : 1. Nitrates 2. Calcium channel blockers (verapamil, diltiazem) o Nitroglycerin is considered the drug of choice for the patient with variant angina. o Prazosin a selective a-blocker may also be used because it prevents a mediated vasospasm. o b-blocker's are contraindicated because they cause constriction of coronary artery due to unopposed a mediated vasoconstriction. Prevention of variant angina o In contrast Nitrates are not used for the prevention of variant angina because of delevelopment of tolerance. o CCBs are the DOC for prevention.